Keratoacanthoma is found most commonly an?
1. Lip
2. Gingiva
3. Tongue
4. Hard palate

Correct answer: 1. Lip